Most common extra skin manifestation of varicella is involvement of -
1. CNS
2. Lungs
3. Kidneys
4. CVS

Correct answer: 1. CNS

Explanation: Other complication like acute cerebellar ataxia,meningitis ,encephalitis may cause REF:ANANTHANARYANAN TEXT BOOK OF MICROBIOLOGY 9EDITION PGNO.471